The antifungal which has a bactericidal mode of action against dermatophyte infections in therapeutic doses is -
1. Fluconazole
2. Terbinafine
3. Itraconazole
4. Ketoconazole

Correct answer: 2. Terbinafine

Explanation: Ans. is 'b' i.e., Terbinafine